The only FDA approved therapeutic use of Endothelium-Derived Relaxing Factor is
1. Pulmonary hypertension in newborn
2. Primary pulmonary hypertension
3. Congestive cardiac failure
4. Essential hypertension in newborn

Correct answer: 1. Pulmonary hypertension in newborn

Explanation: EDRF is also called nitric oxide. The only approved use is vasodilatation in Pulm.HTN in newborn Ref: Goodman Gillman 12thedPg 1059